Unconjugated hyperbilirubinemia is seen in –
1. Physiological jaundice
2. Breast milk jaundice
3. Gilbert syndrome
4. All of these

Correct answer: 4. All of these